Most common site involved in Otosclerosis is
1. Foot plate stapes
2. Malleus head
3. Incus
4. Ear drum

Correct answer: 1. Foot plate stapes

Explanation: (A) Foot plate stapes # Stapedial Otosclerosis:> Stapedial otosclerosis causing stapes fixation and conductive deafness is the most common variety.> Here lesion starts just in front of the oval window in an area call 'fissula ante fenestram'.> This is the site predilection (anterior focus).> Lesion may be behind the oval window (posterior focus), around the margin of the stapes foot plate (circumferential), in the foot plate but annular ligament being free (biscuit type).> Sometimes, may completely obliterate the oval window niche (obliterative type).